Fetal blood loss occurs in
1. Vasa previa
2. Placenta previa
3. Cord prolapse
4. Abruption

Correct answer: 1. Vasa previa

Explanation: Vasa previa occurs when there is velamentous insertion of placenta i.e. the umbilical cord vessels are splitting before getting attached to the placenta. The insertion of the cord may be close to the internal os. The fetal head can compress the cord leading to rupture of vessels. In this case the blood loss occurs from fetal vessels.